All the following causes the secretion of gastric juice during cephalic phase EXCEPT
1. Food in the mouth
2. Sight of food
3. Food in the stomach
4. Thought of food

Correct answer: 3. Food in the stomach

Explanation: Secretion of gastric juice occurs in 3 phases- cephalic, gastric and intestinal.
a) Cephalic phase (only nervous)
The secretion of gastric juice by stimuli arising from head region (Sight, smell, thought and hearing about food) is called cephalic phase.
The gastric secretion occurs even without presence of food in stomach. The gastric juice secreted during this phase is called appetite juice.
Taste (food in mouth)
 ↓
Stimulation of vagus
↓
Secretion of gastric juice
b) Gastric phase (Nervous and hormonal) The secretion of gastric juice when food enters the stomach is called gastric phase.
Bolus in stomach
 ↓
Vagus, Local nerves, Gastrin
 ↓
Stimulation
 ↓
Secretion of gastric juice
c) Intestinal phase (Hormonal)
Intestinal phase is period of secretion of gastric juice when the chyme enters the intestine.